Not true about renal cast -
1. Albumin secreted from glomeruli form cast
2. Hyaline cast may be found in normal condition
3. Broad cast is a feature of CRF
4. Red cast is a feature of glomerulonephritis

Correct answer: 1. Albumin secreted from glomeruli form cast